Sleep centre is located in -
1. Basal ganglia
2. Medulla
3. Hypothalamus
4. Cerebellum

Correct answer: 3. Hypothalamus

Explanation: Ans. is 'c' i.e., Hypothalamus o Sleep centre - Hypothalamus (Preoptic area of anterior hypothalamus),o Wakefulness centre - Reticular activating system in brainstem & hypothalamus."The sleep centre is in hypothalamus " -- Understanding of medical physiology."The patients who had experienced sleeplessness before dying had brain lesions in the preoptic area of the anterior hypothalamus which came to be known as sleep centre". -- www.thebrain.mcgill.